Encorafenib was approved by FDA recently for
1. Prostate cancer
2. Melanoma
3. Small pox
4. Chicken pox

Correct answer: 2. Melanoma

Explanation: It is a kinase inhibitor inhibiting thr BRAF gene which is responsible for gene mutations in melanoma